Responsible for epidemic dropsy is-
1. Sanguinarine
2. Ergot alkaloids
3. Pyrazolidine alkaloids
4. A flat ox in

Correct answer: 1. Sanguinarine

Explanation: Ans. is 'a' i.e., Sanguinarine DiseaseToxinAdulterantLathyrismBOAAKhesari Dal (Lathyrus sativus)Epidemic DropsySanguinarineArgemone mexicana (oil)Endemic AscitesPyrrolizidine alkaloidsCrotolaria seeds (Jhunjhunia)AflatoxicosisAflatoxinA spergillus fiavus/parasiticusErgotismClavine alkaloidsClaviceps Jusiformis